Krukenberg adenocarcinoma of the ovary can occur as a result of metastases from all except-
1. Stomach
2. Breast
3. Liver
4. Pancreas

Correct answer: 3. Liver

Explanation: Metastatic gastrointestinal & breast neoplasm to ovary are referred to as krukenberg tumors and are characterized by bilateral metastasis composed of mucin-producing signet-ring cells.
The primary sites are → Stomach (most common), Pancreas, Colon, Gall bladder, Breast.